PCR is used to :
1. Detect target plasmids
2. Amplify small amount of DNA
3. Seal the cut ends of DNA
4. Cleave the bacterial plasmid

Correct answer: 2. Amplify small amount of DNA

Explanation: Polymerase chain reaction (PCR) - used to amplify small amount of DNA In 1983, Kary Mullis developed a new technique that made it possible to synthesize large quantities of a DNA fragment without cloning it. Basic Steps involved in PCR are: a) DNA extraction from microorganism b) Amplification of extracted DNA- 3 steps -Denaturation (95degC), Primer annealing (55degC), Extension (72degC) c) Post amplification analysis by different methods like Gel electrophoresis.